Which of the following enzyme catalyses the formation of AMP from two molecules of ADP?
1. Adenylate kinase
2. Adenylyl cyclase
3. Adenosine kinase
4. Adenosine deaminase

Correct answer: 1. Adenylate kinase

Explanation: When ATP level is reduced, AMP is formed by Adenylate kinase reaction. 2 ADP - ATP + AMP This is why AMP is an allosteric activator of glycolysis. Adenylate kinase or myokinase is a phosphotransferase. It catalyses the interconversion of adenine nucleotides (ATP, ADP, and AMP). It plays an important role in cellular energy homeostasis.